Implantation occurs at:-
1. 5th day after fertilization
2. 7th day after fertilization
3. 8th day after fertilization
4. 9th day after fertilization

Correct answer: 2. 7th day after fertilization

Explanation: Implantation of blastocyst in uterine cavity occurs on 6-7th day after fertilization.